Waste types not to be incinerated are
1. Pressurized gas containers
2. Reactive chemical waste
3. Radiographic waste
4. All of the above

Correct answer: 4. All of the above

Explanation: Categories of bio-medical waste in IndiaCategory NoWaste category1Human anatomical waste2Animal waste3Microbiology and biotechnology waste4Sharps5Discarded medicines and cytotoxic drugs6Solid waste 7Solid waste 8Liquid waste9Incineration ash10Chemicals used in the production of biologicalsColor codingType of containerWaste categoryTreatment optionsYellowPlastic bagCat 1, 2, 3 & 6Incineration/deep burialRedDisinfected container/plastic bagCat 3, 6 & 7Autoclaving/Microwaving/Chemical treatmentBlue/White translucentPlastic bag/Puncture proof containerCat 4 & 7Autoclaving/Microwaving/Chemical treatment and Destruction/ShreddingBlackPlastic bagCat 5, 9 & 10 Disposal in secured landfillRef: Park; 23rd ed; Pg 793, 794